Not true about innate immunity:
1. Not influenced by hormones
2. Dependent on genetic constitution
3. Identical twins have same degree of resistance
4. Not influenced by exposure to antigen

Correct answer: 1. Not influenced by hormones

Explanation: Ans. a. Not influenced by hormones